Which of the following is false about HIV related arthritis?
1. Cutaneous and mucosal lesions are rare.
2. Symmetrical polyarthritis can be seen.
3. Enthesopathy is rare
4. Hip is the commonest joint involved

Correct answer: 4. Hip is the commonest joint involved

Explanation: HIV related arthritis: 1. Presents as an asymmetric oligo arthritis (MC), symmetrical polyarthritis or as a monoarthritis. 2. Males > Females 3. Most common joint effected: knee 4. Patients lack features of mucocutaneous involvement or enthesopathy 5. Symmetrical polyarthritis (non-erosive) variant closely mimics RA. 6. Occasional erosions and joint space narrowing radiographically 7. Seronegative: ANA, Rheumatoid Factor and HLA B27 are negative 8. Sterile, inflammatory synovial fluid. 9. Drug of choice: NSAIDs